Earliest Ocular sign in acoustic neuroma is:
1. Diplopia
2. Ptosis
3. Loss of corneal sensation
4. Congestion of conjunctiva

Correct answer: 3. Loss of corneal sensation

Explanation: Loss of corneal sensation REF: Harrison's 17th ed chapter 374 "The earliest ocular manifestation of CP angle tumors or acoustic neuroma is loss of corneal sensation"